All anesthetic agent decrease portal vein flow. Portal flow is maximally reduced by:
1. Ether
2. Halothane
3. Isoflurane
4. Enflurane

Correct answer: 2. Halothane

Explanation: B i.e. HalothaneAll volatile anesthetic agents reduce portal hepatic blood flow. This decrease is greatest with halothane and least with isofluraneQ.